Neurofibrillary tangles are associated with:
1. Bipolar disorder
2. Alzheimer's disease
3. Schizophrenia
4. Multiple infarctions

Correct answer: 2. Alzheimer's disease

Explanation: Ans. B: Alzheimer's DiseaseNeurofibrillary tangles were first described by Alois Alzheimer in one of his patients suffering from the disorder now referred to as Alzheimer's disease.Neurofibrillary tangles are pathological protein aggregates found within neurons in cases of Alzheimer's disease. Tangles are formed by hyperphosphorylation of a microtubule-associated protein known as tau, causing it to aggregate in an insoluble form. (These aggregations of hyperphosphorylated tau protein are also referred to as PHF, or "Paired Helical Filaments").It is also believed that neurofibrillary tangles are seen in Creutzfeldt-Jakob disease.Neurofibrillary tangles are also found in Supranuclear palsy.It's also related to frontotemporal dementia however without detectable (beta}-amyloid plaques.